At what stage of erythropoiesis does Hemoglobin appear
1. Reticulocyte
2. Intermedate normoblast
3. Early normoblast.
4. Erythroblast

Correct answer: 2. Intermedate normoblast

Explanation: Hb synthesis starts at the stage of intermediate normoblast and then its contents increase progressivelyRef: Medical Physiology Indu Khurana 2015 edition page No:106